Sexual intercourse by a human being with an animal is known as -
1. Tribadism
2. Bestiality
3. Lesbianism
4. Fetishism

Correct answer: 2. Bestiality